Genes responsible for beta thalassemia are located on which chromosome?
1. Chromosome 7
2. Chromosome 11
3. Chromosome 16
4. Chromosome 18

Correct answer: 2. Chromosome 11

Explanation: Ans. b (Chromosome 11). (Ref. Harrison's medicine 16th ed., 370, 594)CHROMOSOME NO.ASSOCIATED DISEASE (S)Chromosome 1.presenilin 2 mutation (Alzheimer's)Chromosome 3 (3P)VHLChromosome 4Huntington's diseaseChromosome 5Familial adenomatous PolyposisCridu-Chat syndromeChromosome 6HLAChromosome 7Cystic fibrosisChromosome 11Wilm's tumorBeta thalassemiaAlzheimer's diseaseChrosome 4&16ADPKDChromosome 16Alpha thalassemiaLong arm of 17NF-1Chromosome 22NF-2